A 58-year-old man complains of an enlarged, pitted nose, and a facial rash that "flushes" in response to drinking hot liquids or alcohol. The rash is on both cheeks, and it is red and flushed in appearance, with some telangiectatica and small papules. Which of the following is the most likely diagnosis?
1. acne vulgaris
2. pemphigus
3. rosacea
4. psoriasis

Correct answer: 3. rosacea

Explanation: Rhinophyma is a complication of rosacea. It can be treated surgically by shaving off the excessive tissue with a scalpel, but regrowth occurs in time. There is very little evidence to support the association between alcoholism and rhinophyma. The other conditions do not cause flushing or blushing-type appearance. Psoriasis and seborrheic dermatitis have lesions that have white dry scales.